Side effect of Depot MPA are all, EXCEPT
1. Weight gain
2. Irregular bleeding
3. Amenorrhea
4. Hepatitis

Correct answer: 4. Hepatitis

Explanation: Ans. is d i.e Hepatitis DMPA i.e. depot medroxy progesterone acetate (depot provera) and Net en are progesterone only injectable contraceptives DMPA-. It is administered as an intramuscular injection every 3 monthsdeg (150mg every 3month). Mechanism of action : Same as other progesterone contraceptive i.e. thickening of cervical mucus and endometrial atrophy making it less receptive to implantation and by inhibiting ovulation by blocking LH surge. Suited ideally for : -- Lactating womendeg In sickle cell diseasedeg (as it makes sickle cell crisis less frequent and less painful) -- In seizure disorder (as it raises seizure threshold). Other advantages : -- Has no cardiovascular risk -- No excess risk of breast cancer -- Has all benefits of progesterone component as in OCP's (see 0. No. 11). Side effect of DMPA include : Irregular bleeding / Poor cycle controldeg (Most common side effect) Occasional phase of amenorrheadeg Weight gaindeg Prolonged infertility after its usedeg (Ovulation begins 6 - 12 months after the last injection) Breast tenderness Decreased bone mass (after prolonged use) so women shold be advised to use calcium supplementation. Depression. Absolute contraindications for the use of DMPA : Pregnancy Unexplained Genital bleeding Severe coagulation disorder Previous sex steroid induced liver adenoma.